In cancer colon investigation of choice is:
1. CT scan
2. Barium enema
3. Colonoscopy
4. X-ray

Correct answer: 3. Colonoscopy

Explanation: Ans. (c) ColonoscopyRef: Bailey and Love 27th edition, Page 1262* Investigation of choice for cancer colon is colonoscopy as we can take biopsy and confirm the lesion.* Risk of perforation is 1:1000.* Helps to detect synchronous lesions also.